CYP–450 inducers are:
1. Cimetidine
2. Ketoconazole
3. Phenobarbitone
4. Theophylline

Correct answer: 3. Phenobarbitone

Explanation: - P450 inducers

   Phenobarbitone
   Rifampicin
   Phenytoin
   Chloral hydrate
   Griseofulvin
   Phenylbutazone
   DDT
   Chronic alcohol ingestion

-          Cimetidine and Ketoconazole inhibits metabolizing enzymes.